Apple jelly nodules are seen in:
1. Ichthyosis vulgaris
2. Lichen planus
3. Lupus vulgaris
4. Lupus erythematous

Correct answer: 3. Lupus vulgaris

Explanation: Ans: C (Lupus vulgaris) Ref: Principles of Diagnosis in Dermatology. In: Thappa DM. editor. Essentials in Dermatology, 2ndedn., New Delhi: Jaypee Brothers Medical Publishers (P) Ltd 2009:16-30 Mycobacterial Diseases. In: James WD, Berger TG Elston DM, editors. Andrew 's Diseases of the Skin: Clinical Dermatology. 11th edn., Saunders Elsevier 201 /; 322-33)Explanation:Lupus vulgaris is a type of progressive cutanetms t uberculosis.Occurs in people with moderate to high immunity.Single plaque composed of grouped redbrow n papules with peripheral extension on one side and scarring on the other side.On diascopy of" active edge-translucent pale brownish yellow or apple jelly colour in the periphery - apple jelly nodules - granulomatous nodules.Diascopy/vitropression:Compression with a glass slide useful in.Differentiating purpura (no blanching) from erythema (blanches).Differentiating nevus anemicus (margins blurred) from nevus depigmentosus (no change).